Vein of Mayo is seen at?
1. Saphenous junction
2. Pylorus
3. Colon
4. Brain

Correct answer: 2. Pylorus

Explanation: Pre-pyloric vein of Mayo is a tributary of the right gastric vein that passes vertically anterior to the pylorus at its junction with the duodenum. It has rectal tributaries. Right gastric vein drains into the portal vein. (Reference: BDC Volume 2 : Large blood vessels of gut)